Amount of protein undigested in the small intestine is?
1. 1–5%
2. 10–20%
3. 5–10%
4. 25–30%

Correct answer: 1. 1–5%

Explanation: Only 2-5% of the protein in the small intestine escapes digestion and absorption. Some of this is eventually digested by bacterial action in the colon. Almost all of the protein in the stools is not of dietary origin but comes from bacteria and cellular debris.